Unilateral sensorineural hearing loss may occur in
1. Coronavirus
2. Mumps
3. Pertussis
4. Rotavirus

Correct answer: 2. Mumps

Explanation: Mumps(epidemic parotitis) may result in a profound sensorineural hearing loss (90 dB or more), unilaterally (one ear) or bilaterally (both ears). Coronavirus and Rotavirus are associated with diarrhoea. (Ref: Diseases of EAR, NOSE AND THROAT by PL DHINGRA - 6th Edition, Microbiology - Anantanarayanan)